Ponseti method is used for?
1. Rickets
2. Blount s disease
3. CTEV
4. Congenital vertical tallus

Correct answer: 3. CTEV

Explanation: ANSWER: (C) CTEVREF: Apley's 9th ed page 593PONSETI METHOD is non-operative method of choice to treat CTEV or dub footNon-operative or conservative management of CTEV:Treatment should begin early, preferably within a day or two of birth. This consists of repeated manipulation and adhesive strapping that maintains the correction; the manipulations are taught to the child's mother, who is then able to carry out gentle stretches on a regular basis with the strapping still in place.Serial manipulation and casting is first-line treatment; initially, casts are molded to correct cavus deformity, followed by correction of forefoot adduction and heel varus, and, finally, correction of equinus (Ponseti technique).The objective (ideally) is to achieve not only correction but overcorrection. The position should be checked by x-ray in order to ensure that there is no rocker-bottom defect; attempts to overcome equines before the other deformities are corrected may 'break'the foot in the midtarsal region. Dennis brown splint Is used to keep foot in corrected positionResistant cases will usually declare themselves after8-12 weeks of serial manipulations and strapping